A boy presented with multiple non suppurative osteomyelitis with sickle cell anemia , what will be the causative organism?
1. Salmonella
2. S.aureus
3. H.influenza
4. Enterobacter species

Correct answer: 1. Salmonella

Explanation: sickle cell anemia can involve multiple bones hence it can cause multifocal osteomyelitis and causative organism is salmonella. REF : MAHESWARI 9TH ED